Which of the following statement is true about Bacteroides ?
1. It is gram positive bacilli
2. It is strictly aerobic
3. It may cause peritonitis
4. Presence in stool culture indicates need for treatment

Correct answer: 3. It may cause peritonitis

Explanation: Ans. is 'c' i.e., It may cause peritonitis Bacteroides are strict anaerobes. . These are gram negative bacilli. . Bacteroides species are normal inhabitants of bowel and other sites and they are the most abundant anaerobes in the normal stool, their presence in the stool is not an indication for treatment. . They are particularly isolated from infections associated with contamination by contents of the colon where they may cause suppuration eg. peritonitis after bowel injury.